In a child with OCD, MRI will reveal reduced volume / atrophy in :
1. Putamen
2. Globus pallidus
3. Caudate nucleus
4. Cerebellum

Correct answer: 3. Caudate nucleus

Explanation: Orbito Frontal cortex, basal ganglia and head of caudate nucleus are involved in obsessive compulsive disorder.